A problem with a porcelain jacket is it:
1. Is not color stable
2. Is very brittle
3. Has a very high compression strength
4. Is irritating to the gingiva

Correct answer: 2. Is very brittle